'Boiled lobster' appearance is seen in poisoning with:
1. Carbolic acid
2. Boric acid
3. Oxalic acid
4. H2SO4 poisoning

Correct answer: 2. Boric acid

Explanation: Ans. Boric acid